Polychromatic lusture is seen in
1. Zonular cataract
2. Posterior subscapular cataract
3. Nuclear cataract
4. Anterior subscapular cataract

Correct answer: 2. Posterior subscapular cataract

Explanation: Polychromatic luster is a pathognomic feature of complicated cataract which is most commonly posterior subcapsular Refer: Khurana 6th edition page number 187